Characteristic nail finding in lichen planus is
1. Pterygium
2. Hyperpigmentation of nails
3. Pitting
4. Beau's lines

Correct answer: 1. Pterygium

Explanation: Pterygium formation is the characteristic nail finding in lichen planus of nails iadvl textbook of dermatology page 800